RDA of protein in adult male -
1. 0.5 g/kg
2. 1 g/kg
3. 2 g/kg
4. 3 g/kg

Correct answer: 2. 1 g/kg

Explanation: Ans. is 'b' i.e., 1 g/kg [Ref: Park 23rd/e p. 636 & 21st/e p. 588; style="font-size: 1.04761904761905em; font-weight: bold; text-decoration: underline; font-style: italic; font-family: Times New Roman, Times, serif; margin: 0; text-align: center">Recommended protein allowancesGroupParticulars(g / kg / day)Man(60 kg)sedentaty workmoderate workheavy work1Woman(55 kg)sedentary workmoderate workheavy work1Infants0 to 3 months3 to 6 months6 to 9 months9 to 12 months1.161.161.691.69Children1 to 3 years4 to 6 years7 to 9 years1.31.121.18AdolescentsMales 10 to 12 years13 to 15 years16 to 18 yearsFemales10 to 12 years13 to 15 years16 to 18 years1.161.141.11 1.151.111.06